Flexion, adduction and internal rotation is seen in:
1. neck of femur
2. Ant dislocation of hip
3. Post dislocation of hip
4. Congenital dislocation hip

Correct answer: 3. Post dislocation of hip

Explanation: Ans: c (Post dislocation of hip) Ref: Maheswari, 3rd ed, p. IIIFlexion adduction and internal rotation is seen in posterior dislocation of hipPosterior dislocation - Flexion + adduction + internal rotation + shorteningAnterior dislocation - Flexion + abduction + external rotation + shorteningFracture neck of femur - Flexion + adduction + external rotation + shorteningIntertrochantric - Flexion + adduction + extenal rotation + shorteningAttitude in TB hip:Stage of synovitis - Flexion + abduction + external rotation (apparent lengthening)Stage of arthritis - Flexion + adduction + internal rotation (app shortening)Stage of erosion - Flexion + adduction + internal rotation (true shortening)